Rhinophyma is a type of ?
1. Acne vulgaris
2. Acne rosacea
3. Fungal Infection
4. Hamatoma

Correct answer: 2. Acne rosacea

Explanation: ANSWER: (B) Acne rosaceaREF: Bolognia 2nd ed Ch. 33See previous question